Maximum benefit of electroconvulsive therapy is in-
1. Hysteria
2. Depression with suicidal tendency
3. Chronic schizophrenia
4. Mania

Correct answer: 2. Depression with suicidal tendency

Explanation: Ans. is 4b' i.e., Depression with suicidal tendency o Most important and most common indication for ECT is severe depression with suicidal risk.Indications of ECTSevere depression with suicial risk or with psychotic features or w ith stupor.Some types of schizophrenia (catatonic or paranoid)Schizophrenic or depressive stuporSevere catatonia with stuporSevere psychoses (schizophrenia or mania) with risk of suicide or homicide or physical assault.